Rockall scoring system is used for the assessment of:
1. Non variceal upper GI bleeding
2. Variceal bleeding
3. Ectopic variceal bleeding
4. None of the above

Correct answer: 1. Non variceal upper GI bleeding

Explanation: Scoring tools Identifies patients with nonvariceal UGI bleeding at greatest risk for mortality and rebleeding. Pre-endoscopy scoring systems for nonvariceal bleeding Blatchford Score The Clinical Rockall Score Artificial neural network score. The Blatchford Score uses Blood pressure, BUN level, Hemoglobin level Heart rate Syncope Melena Liver disease Heart failure The clinical Rockall Score Uses: Age Shock Coexisting illnesses The artificial neural network instrument uses 21 clinical variables The most commonly used post endoscopy scoring system is -Complete Rockall Score The Complete Rockall Score includes The Clinical Rockall Score + endoscopic findings. It correlates well with mortality but not with the risk for rebleeding. Ref: Sleisenger and Fordtran's, E-9, P-293.